Which of the following is not an ophthalmic emergency?
1. Macular hole
2. Retinal detachment
3. CRAO
4. Acute primary angle closure glaucoma

Correct answer: 1. Macular hole

Explanation: ANSWER: (A) Macular holeREF: YanofF Ophthalmology 2nd edition"A Macular hole is abreak in the central part of the retina (macula), causing blurred and distorted vision. While this can occur after trauma, it usually presents spontaneously. The treatment of macular hole involves surgery. While the repair of a macular hole is not an emergency thereis a general consensus that repair should occur within 6-12 months after onset to maximize visual recovery""Eye injury, retinal detachment, and central retinal artery occlusion (CRAO) are among the most common ocular emergencies"Following are ocular emergencies:Acute infectious endophthalmitisAcute primary angle-closure glaucomaInfectious keratitisOrbital hemorrhageRetinal detachmentForeign bodyOrbital fracturesCorneal abrasions, lacerations, ulcersChemical burnsRuptured globeCRAORetrobulbar hematoma